Midday meal Contains
1. 1/2 proteins and 1/2 calories
2. 1/3 proteins and 1/3rd calories
3. 1/2 proteins and 1/3rd calories
4. 1/3rd proteins and 2/3rd calories

Correct answer: 3. 1/2 proteins and 1/3rd calories

Explanation: Midday meal should supply 1/3rd of total energy requirement and 1/2 of total protein requirement.